A 25-years old married male presents with infertility. He had undergone retroperitoneal lymph node dissection at age of 15 years for embryonal carcinoma of right testis. Semen analysis shows-quantity-0.5 ml, no. sperm, no fructose. Biopsy of testis shows normal spermatogenesis. Best treatment here would be:
1. Artificial insemination of donor
2. Penile-prosthesis
3. Micro testicular aspiration and intracytoplasmic injection
4. None of the above

Correct answer: 3. Micro testicular aspiration and intracytoplasmic injection

Explanation: Ans. (c) Microtesticular aspiration and intracytoplasmic injectionRef: Smith 17th Edition, Pages 710-711* For patients having normal spermatogenesis and problem in sperm transport we do Sperm aspiration from Vas or Epididymis or Testis and injected into cytoplasm. (In vitro Fertilization Technique- IVF)